Preformed toxin produces diarrhea in which organism ?
1. Staphylococcus
2. Vibrio cholera
3. Salmonella
4. Escherichia coli

Correct answer: 1. Staphylococcus

Explanation: Example of Preformed toxin i.e. toxin secreted in food: S.aureus enterotoxin, Bacillus cereus emetic type of enterotoxin and botulinum toxin.